26 year old female presents to OPD with small, round bluish nodule on her index nail bed which is painful and the pain further increases on exposure to cold. On examination it demonstrated increased pin-prick sensitivity. What could be most probable diagnosis?
1. Herpetic whitlow
2. Glomus tumor
3. Osteoma
4. Subungual hematoma

Correct answer: 2. Glomus tumor

Explanation: Glomus tumors Benign, vascular neoplasms arising from the glomus body. Occur in the upper extremities, most frequently subungual areas. Present as a small, round, bluish nodule visible through the nail plate with a classic triad of symptoms: Hypersensitivity to cold Heightened pinprick sensitivity Paroxysmal pain Diagnosis: X-ray, MRI, and ultrasonography. However, only histology can confirm the diagnosis. Complete surgical excision of the tumor is the only effective treatment to achieve pain relief and low recurrence rate.